During the demographic transition, demographic dividend is due to decrease in
1. Demographic burden
2. Demographic gain
3. Demographic loss
4. Demographic bonus

Correct answer: 1. Demographic burden

Explanation: The demographic transition is the transition from high birth and death rates to lower birth and death rates as a country or region develops. This demographic shift initiates the demographic dividend. With fewer younger dependents, due to declining fertility and child mortality rates, and fewer older dependents, due to the older generations having shorter life expectancies (as in India) Demographic burden is the ratio of the number of persons under working age and over working age per 1000 people of working age. The dependency ratio is a measure showing the number of dependents, aged zero to 14 and over the age of 65, to the total population, aged 15 to 64. It is also referred to as the "total dependency ratio." Ref : Park 23rd edition Pgno : 484